A 25 yr old male having fever & malaise since 2 weeks, arthritis of ankle joint and tender erythematous nodules over the shin. Diagnosis is?
1. Erythema nodosum
2. Erythema marginatum
3. Weber Christian disease
4. Urticarial vasculitis

Correct answer: 1. Erythema nodosum

Explanation: Erythema nodosum is most common on the shins, but it may also occur on other areas of the body (buttocks, calves, ankles, thighs, and arms). The lesions begin as flat, firm, hot, red, painful lumps approximately an inch across. Within a few days they may become purplish, then over several weeks fade to a brownish, flat patch. Other symptoms may include: a. Fever b. General ill feeling (malaise) c. Joint aches d. Skin redness, inflammation, or irritation e. Swelling of the leg or other affected area. Causes of erythema nodosum infections, such as Streptococcal pharyngitis or strep throat. bacterial infections, such as Mycoplasma pneumonia or tuberculosis. viral infections. deep fungal infections. sarcoidosis. cancer. antibiotics. oral contraceptives Ref Robbins 9/e pg 345